A 7 month old infant presents with stridor since the tenth day of life. What is the Most likely cause ?
1. Laryngotracheobronchitis
2. Tracheosophageal fistula
3. Laryngomalacia
4. Eventration of the diaphragm

Correct answer: 3. Laryngomalacia

Explanation: Laryngomalacia (Laryngeal Stridor) Laryngomalacia (LAYR inn go mah LAY shah) is also called laryngeal stridor. It results from a weakness of parts of the voice box (larynx) that is present at birth. This condition can cause a high-pitched sound called stridor (STRI der). You may hear this sound when your child breathes in. Cause of Laryngomalacia Laryngomalacia means "soft larynx." It is caused by floppiness of the tissue above the vocal cords (called the supraglottic larynx). When a person breathes in (inspiration), these tissues fall in towards the airway and cause the airway to be partly blocked. This blockage at the area of the voice box creates noisy breathing (called stridor). Laryngomalacia is the most common cause of noisy breathing in infants. More than half of infants have noisy breathing during the first week of life. Most other babies have it within 2 to 4 weeks of birth. It is rare, but laryngomalacia can happen in older children or adults, usually those with other medical problems. Reference: GHAI Essential pediatrics, 8th edition